A patient underwent adrenalectomy in views of B/L pheochromocytoma , 1 day later developed lethargy ,fatigue, low BP and pulse normal No signs of volume deficit , likely course is
1. Addisonian Crisis
2. SIADH
3. DI
4. Cerebral salt wasting disease

Correct answer: 1. Addisonian Crisis

Explanation: ADDISONIAN CRISIS PRESENTATION Sudden penetrating pain in the legs, lower back or abdomen Severe vomiting and diarrhea, resulting in dehydration Low blood pressure, Unexplained shock, usually refractory to fluid and pressor resuscitation Syncope (loss of consciousness) Hypoglycemia Confusion, psychosis, slurred speech Severe lethargy Hypercalcemia Convulsions Fever Rapid withdrawal of long-term steroid therapy " Hyperthermia or hypothermia ref : harrisons 21st ed